Rigor mortis appears last in:
1. Eyelids
2. Neck
3. Lower limb
4. Toes

Correct answer: 4. Toes

Explanation: Ans: D i.e. Toes Rigor mortis first appears in the involuntary muscles; the myocardium. It begins in eyelids, neck and lower jaw and passes upwards to the muscle of the face, and downwards to the muscles of the chest, upper limbs, abdomen and lower limbs and lastly in the finger and toes